Most sensitive investigation for early bone infections is:
1. X-ray
2. CT scan
3. Bone scan
4. USG

Correct answer: 3. Bone scan

Explanation: MRI can pick up marrow changes in metaphysis. (Best radiological investigation for Osteomyelitis and Tuberculosis). Bone scan is next in preference to MRI to pick up infections by picking osteoblastic activity at the site of infection. It is highly sensitive but low specificity. Culture and growth of organism is most definitive diagnostic modality for Osteomyelitis. MRI(6-8 hrs) > Bone Scan(12-24hrs) > X-Ray(>24hrs)